Best position for chest X-ray to detect left pleural effusion is:
1. Left lateral
2. Supine
3. Left lateral decubitus
4. Right lateral decubitus

Correct answer: 3. Left lateral decubitus

Explanation: Ans. Left lateral decubitus